The following muscles cause inversion of foot except?
1. Tibialis Anterior
2. Tibialis Posterior
3. Peroneus Longus
4. EHL

Correct answer: 3. Peroneus Longus

Explanation: * Muscles causing inversion of foot:- Tibialis anterior - Tibialis posterior- Extensor Hallucis Longus * Muscle causing eversion of foot:- Peroneus longus- Peroneus brevis